Knowledge of the segmental cutaneous innervation of the skin of the lower extremity is important in determining the level of intervertebral disc disease. Thus, S1 nerve root irritation will result in pain located along the -
1. Anterior aspect of the thigh
2. Medial aspect of the thigh
3. Anteromedial aspect of the leg
4. Lateral side of the foot

Correct answer: 4. Lateral side of the foot

Explanation: S1 nerve root impairment results in

Weak plantar flexion
Weak eversion of the foot
Depressed ankle jerk
Sensory loss along lateral border of foot